Which of the following is not an antifungal drug ?
1. Ketoconazole
2. Undecylenic acid
3. Ciclopirox
4. Clofazimine

Correct answer: 4. Clofazimine